When one drug decreases or inhibits the action of other it is called-
1. Antagonism
2. Agonism
3. Inverseagonism
4. Synergism

Correct answer: 1. Antagonism

Explanation: Ans. is 'a' i.e., Antagonism Antagonismo When one drug decreases or inhibits the action of other.o Effect of drugs A + B < effect of drug A + effect of drug B.o Antagonism may be :PhysicalBased on physical property'ChemicalThe two drugs react chemically and form an inactive product.Physiological,functionalThe two drugs act on different receptors or by different mechanisms, but have opposite overt effects on the same physiological function ie have pharmacological effect in opposite direction.ReceptorThe antagonist interferes with binding of the agonist with its receptor or inhibits the generation of response consequent to such binding.